Which of the following anti-cancer drug comes under the group of monoclonal antibodies?
1. Di-ethyl-stilbesterol
2. Tamoxifen
3. Rituximab
4. Bortezomib

Correct answer: 3. Rituximab

Explanation: Name of monoclonal antibodies end with -mab. DRUG ANTICANCER GROUP Diethylstilbestrol Hormonal Tamoxifen Hormonal Rituximab Monoclonal antibody Bortezomib Proteasome inhibitor